All of the following are indirect radiologic signs of collapse of lung EXCEPT -
1. Mediastinal displacement
2. Hilar displacement
3. Compensatory hyperinflation
4. Loss of aeration

Correct answer: 4. Loss of aeration